Which of the following is the major constituent of the lung surfactant?
1. Mucoprotein
2. Phospholipids
3. Fibrinogen
4. Fibrin

Correct answer: 2. Phospholipids

Explanation: Nearly 77% of surfactant is composed of phospholipids.